Which of the following is a derivative of paramesonephric duct in males ?
1. Trigone of bladder
2. Paraphoron
3. Prostatic utricle
4. Gartner's duct

Correct answer: 3. Prostatic utricle

Explanation: Two structures are derived from paramesonephric duct in males :-Appendix of testis (hydatid of morgagni)Prostatic utricle.